All of the following statement true about caudal anaesthesia except-
1. It is common regional technique in pediatric patient
2. It is a special type of spinal anaesthesia
3. It is commonly used for postoperative analgesia for urological and lower abdominal surgery
4. It is easy to performs in pediatric patient < 1 year old.

Correct answer: 2. It is a special type of spinal anaesthesia

Explanation: Caudal is the other name of sacral epidural anaesthesia commonly done in < 7 yrs old children since it is easy to approach is sacral epidural space because of unfused sacral hiatus. The Spine is composed of the vertebral bones and intervertebral disks. There are 7 cervical 12 Thoracic and 5 Lumbar vertebrae. The sacrum is a fusion of 5 sacral vertebrae and there are small rudimentary coccygeal vertebrae. This encases spinal cord and at every level. Paired spinal nerve exit the central nervous system. The laminae of S5 and all or part of S4 normally do not fuse, learning a caudal opening to the spinal canal, the sacral hiatus.